Structure passing through lesser sciatic notch:
1. Tendon of obturator internus
2. Superior gluteal vessels
3. Superior gluteal nerve
4. Inferior gluteal nerve

Correct answer: 1. Tendon of obturator internus

Explanation: Lesser sciatic notchIt lies below the ischial spineIt is smooth, coated in the recent state with cartilage, the surface of which presents two or three ridges corresponding to the subdivisions of the tendon of the Obturator internus, which winds over it.It is converted into a foramen, the lesser sciatic foramen, by the sacrotuberous and sacrospinous ligaments, and transmits the tendon of the Obturator internus, the nerve which supplies that muscle, and the internal pudendal vessels and nerve.